Drug of choice for status epilepticus is -
1. Diazepam
2. Lorazepam
3. Phenytoin
4. Sodium valproate

Correct answer: 2. Lorazepam

Explanation: Ans. is 'b' i.e., Lorazepam * Lorazepam i.v. is now the preferred initial choice.* Clonazepam is an alternative.* Diazepam i.v. was widely used as first line drug. But it is more likely to caus hypotension and respiratory depression and its antiepilepsy effect wears off after about 20 minutes